Thyroid medullary cells that produce calcitonin develop from:
1. Ultimobranchial body
2. Floor of the primitive pharynx
3. 3rd pharyngeal arch
4. Lung buds

Correct answer: 1. Ultimobranchial body

Explanation: Neural crest derivatives from the ultimobranchial body give rise to thyroid medullary C cells. It produces calcitonin. The C cells are interspersed throughout the thyroid gland. ALSO KNOW The ultimobranchial body arises from bilateral ventral swellings of the 4th pharyngeal pouches and gets integrated into the thyroid where it forms the parafollicular cells or C-cells for the production of calcitonin. Ref: Harrison, E-18, P-2911.